Florence test detects:
1. Inositol
2. Choline
3. Spermine
4. Citric acid

Correct answer: 2. Choline

Explanation: Ans. Choline